Antihypertensive which can be used in gout, with diabetes mellitus is -
1. Thiazide
2. Enalapril
3. Propranolol
4. Diazoxide

Correct answer: 2. Enalapril

Explanation: Ans. is 'b' i.e., Enalapril orT ACE inhibitors (enalapril) are the most appropriate antihypertensive in patients having DM and gout.